A 20-year-old female presents with excess facial hair and oligomenorrhea, increased levels of free testosterone, and normal ovaries on USG. Most likely diagnosis is:
1. PCOD
2. Adrenal hyperplasia
3. Idiopathic hirsutism
4. Testosterone-secreting tumor

Correct answer: 1. PCOD

Explanation: Ans. A. PCODa. PCOS/PCOD is a disorder of chronically abnormal ovarian function (oligo/anovulation) and hyperandrogenism frequently a/w hyperinsulinemia and insulin resistance, resulting in menstrual irregularity, infertility, and hirsutism.b. Rotterdam 2003 criteria for diagnosis of PCOS/PCOD:c. At least 2 of 3 should be present:i. Oligo/anovulation (causes oligomenorrhea, amenorrhea, and infertility)ii. Hyperandrogenism: Biochemical or clinical (increased serum androgens or acne, hirsutism)iii. 12 or more than 12 follicles 2-9mm in size present within or both ovaries on USG and/or ovarian volume >10mL (necklace-of pearl pattern).* As the patient in the question satisfies first 2 criteria, she is a case of PCOS.